Multiple infection of red blood cell is seen with -
1. Plasmodium ovale
2. Plasmodium vivax
3. Plasmodium falciparum
4. Plasmodium malariae

Correct answer: 3. Plasmodium falciparum

Explanation: P. falciparum rings have delicate cytoplasm and one or two small chromatin dots. Rbcs that are infected are not enlarged; multiple infection of rbcs is more common in P. falciparum than in other species